Chemoprophylaxis for meningococcal meningitis
1. Ampicillin
2. Rifampicin
3. Tetracycline
4. Erythromycin

Correct answer: 2. Rifampicin